True about Abdominal compartment syndrome:a) ↓Cardiac Outputb) ↓Pulmonary capillary wedge pressurec) ↓ Venous returnd) ↓Systemic vascular resistancee) ↓Urine output
1. ace
2. bde
3. cde
4. ade

Correct answer: 1. ace